Peritoneum is opened in all of the following sterilization procedures except :
1. Mini lap
2. Laparoscopy
3. Vasectomy
4. Transvaginal tubectomy

Correct answer: 3. Vasectomy

Explanation: Ans. is c i.e. Vasectomy Vasectomy consists of dividing the vas deferens and disrupting the passage of sperms. It is done through a small incision in the scrotum under LA. There is no need to open the peritoneum.